Elimination after 4 half lives in first order kinetic is:
1. 84%
2. 93%
3. 80.50%
4. 75%

Correct answer: 2. 93%